Primary bile acid is
1. Deoxycholic acid
2. Lithocholic acid
3. Chenodeoxycholic acid
4. None

Correct answer: 3. Chenodeoxycholic acid

Explanation: Bile acids are formed from cholesterol. Types:(a) Primary bile acids: They are synthesized in the liver from cholesterol. They are mainly two:Cholic acid: Quantitatively the largest in an amount in bile.Chenodeoxycholic acid.(b) Secondary bile acids: They are produced in the intestine from the primary bile acids by the action of intestinal bacteria, they are produced by deconjugation and 7-a-dehydroxylation. They are mainly two:Deoxycholic acid: Formed from cholic acid.Lithocholic acid: Formed from chenodeoxycholic acid.Ref: Harper's Biochemistry; 30th edition